Which of the most common type of fingerprint ?
1. Arch
2. Composite
3. Loops
4. Whorls

Correct answer: 3. Loops

Explanation: About 60 - 70% people have loop pattern in their fingerprints.
The order of Frequency is 

Loops (60 - 70%)
Whorls
Arch
Composite